Reverse cold chain is for-
1. Measles
2. Polio
3. Rubella
4. Pertussis

Correct answer: 2. Polio

Explanation: Ans. is 'b' i.e., Polio "Reverse cold chain" is for transport of viable poliovirus in stool to an investigation centre. To isolate polio virus from stool, the sample needs to be maintained at 4-8deg C or stored at - 20degC from the moment of collection, to processing in the laboratory. This process for maintaining the viability of polio virus is called 'Reverse cold chain'. o So, in reverse cold chain i) Temprature for transportation --> + 2 to +8degC. ii) Temprature for storage --> -20degC. o Specific red vaccine carrier is used in reverse cold chain.